The best results in treatment of capillary nevus have been achieved by:
1. Full thickness skin graft
2. Dermabrasion
3. Tattooing
4. Argon laser treatment

Correct answer: 4. Argon laser treatment

Explanation: Best cosmetic results obtained by Laser ablation.